Most common bone to be fractured in a baby, during birth
1. Fracture humerus
2. Fracture clavicle
3. Fracture scapula
4. Fracture femur

Correct answer: 2. Fracture clavicle

Explanation: During birth, the most common bone to be fractured in the baby is clavicle.